Dose of vitamin A prophytaxis given in age group 1-6 years -
1. 2000 iu
2. 20000 iu
3. 200000 iu
4. 100000 iu

Correct answer: 3. 200000 iu

Explanation: For 1-6years of children 200,000IU of vitamin A is given orally every 6 months. REF. PARK'S TEXTBOOK OF PREVENTIVE AND SOCIAL MEDICAL 21ST EDITION. PAGE NO - 569